In benign intracranial hypertension-
1. here is a restriction of upgaze
2. Normal ventricles is found in 50% of cases
3. Brain scan in important in young woman to exclude sagittal sinus thrombosis
4. Optic nerve fenestration should be performed early before the Vision is affected

Correct answer: 3. Brain scan in important in young woman to exclude sagittal sinus thrombosis

Explanation: Dural sinus thrombosis (DST) is a life threatening illness and is often overlooked but it must be considered in the differential diagnosis of a patient presenting with a significant headache. DST presents similarly to benign intracranial hypertension (BIRTH) with intracranial hypertension and headache. A case of a 23 year old woman with DST is described that was initially diagnosed as BIRTH. Brain CT scan and MRI scan should be taken to distinguish from sinus thrombosis and benign intracranial hypertension Ref Harrison20th edition pg 2455